Which is not a DNA virus-
1. Parvovirus
2. Papovavirus
3. Poxvirus
4. Rhabdovirus

Correct answer: 4. Rhabdovirus

Explanation: DNA viruses


Poxviridae :- Variola, vaccinia, cowpox, monkeypox, tanapox, molluscum contagiosum
Herpesviridae :- HSV-1, HSV-2, varicella-zoster, EBV, CMV, HTLV-1, RK-virus
Adenoviridae :- Adenovirus
Parvoviridae :- Parvovirus, Adenosatellovirus, Densovirus
Papovaviridae :- Papillomavirus (HPV), Polyomavirus
Hepadnaviridae :- Hepatitis-B virus